A 56-year-old man with 14-year history of diabetes mellitus presents with poor vision, peripheral vascular disease, and mild proteinuria. Which of the following is best monitor of control of blood sugar levels in this patient?
1. Glycosylated hemoglobin
2. Islet cell autoantibody
3. Serum myoinositol
4. Serum sorbitol

Correct answer: 1. Glycosylated hemoglobin

Explanation: - Glycemic control is assessed clinically by measuring percentage of glycosylated hemoglobin, known as HbA1C -HbA1C Formed by nonenzymatic addition of glucose moieties to hemoglobin in red cells & is irreversible. Best monitor for glycemic control. Measure of glycemic control over long periods of time (2-3 months) Relatively unaffected by day-to-day variations. ADA recommends maintenance of HbA1C levels at less than 7% to reduce risk for long-term complications.